All of the following statements about ticlodipine are true, EXCEPT:
1. It has delayed onset of action
2. It has long duration of action
3. It directly interacts with platelet membrane, Gpllb / llla receptors
4. It is used as an alternative to aspirin in patients with cerebrovascular disease

Correct answer: 3. It directly interacts with platelet membrane, Gpllb / llla receptors

Explanation: Ticlopidine is not a Gpllbb/llla receptor blocker, it acts by altering the cell surface receptors on the platelets and inhibits ADP as well as fibrinogen induced platelet aggregation. It prevents fibrinogen binding to platelets without modifying GPllb/llla receptor. Ref: Essentials of Medical Pharmacology, 5th Eedition, Pages 572-3; Current Cardiovascular Drugs By William H. Frishman, Page 128.